Cranial nerve not involved in spinal anaesthesia –
1. 1st and 10th
2. 3rd and 6th
3. 2nd and 4th
4. 7th and 8th

Correct answer: 1. 1st and 10th

Explanation: All cranial nerves except 1st, 9th & 10th can be involved after spinal anesthesia. Most commonly (90%) 6th nerve is involved.